Approximately how many enamel rods will be present in a maxillary molar?
1. 5 million
2. 7 million
3. 9 million
4. 12 million

Correct answer: 4. 12 million

Explanation: The number of enamel rods ranges from 5 million in Lateral incisor and 12 million in upper 1st molar.